False about Nasopharyngeal carcinoma
1. Rhinolalia clausa
2. Radiotherapy is the main modality of treatment
3. Good prognosis
4. Horner's syndrome

Correct answer: 3. Good prognosis

Explanation: Has poor prognosis.